Mee's line on nail is diagnostic of -
1. Lead poisoning
2. Arsenic poisoning
3. White phosphorus poisoning
4. Mercury poisoning

Correct answer: 2. Arsenic poisoning

Explanation: Ans. is 'b' i.e., Arsenic poisoning Chronic arsenic poisoningo First stage of gastrointestinal & nutritional disturbance:Gradual emaciation is earliest signAnorexia, nausea, vomiting, diarrhoea & abdominal crampso Second catarrhal stageFeatures of common cold, bronchial catarrhal, coughing & hoarsenesso Third stage of skin rashSkin irritation, vesicular eruption resembling nettle rashPatchy brown raindrop type pigmentationHyperkeratosis of palms & solesFalling of hair & brittleness of nailWhite transverse band or Meefs line on nailo Fourth stage of nervous disturbanceSensory motor neuropathy causing tingling, numbness & paresisEncephalopathyo Bone marrow suppression, anemia, weight loss, hepatomegaly, cirrhosis, nephritis, thrombocytopenia, leukemia, skin, lung, liver, bladder & kidney cancer and exfoliative dermatitis & diabetes.